Tension band wiring is done for Fracture of:
1. Humerus
2. Tibia
3. Olecranon
4. Finger

Correct answer: 3. Olecranon

Explanation: Olecranon